All of the following are true regarding sodium cromoglycate except:-
1. Given in acute bronchial asthma
2. Inhibits degranulation of mast cells
3. It is not a bronchodilator
4. It is given by inhalational route

Correct answer: 1. Given in acute bronchial asthma

Explanation: Sodium cromoglycate and nedocromil prevent the degranulation of mast cells by trigger stimuli. Therefore, these are called mast cell stabilizers. These do not possess any bronchodilatory action. As already released mediators will continue to cause bronchospasm, These are indicated only for prophylaxis of bronchial asthma. These are given by inhalational route.